Which one of the following is not a component of Lofgren's syndrome
1. Erythema nodosum
2. Uveitis
3. Peripheral arthropathy
4. Parotid enlargement

Correct answer: 4. Parotid enlargement

Explanation: Parotid enlargement is seen in Heerfordt's syndrome or uveoparotid fever.